Characteristic of anaerobic bacteria is?
1. Foul smelling discharge
2. Fail to grow in aerobic media
3. Gas in tissue
4. All of these

Correct answer: 4. All of these

Explanation: ANSWER: (D) All of theseREF: Harrison s 17th ed chapter 157Anaerobic bacteria are organisms that require reduced oxygen tension for growth, failing to grow on the surface of solid media in 10% CO, in air.Anaerobic organisms tend to be found in abscess cavities or in necrotic tissue. The failure of an abscess to yield organisms on routine culture is a clue that the abscess is likely to contain anaerobic bacteria. Often smears of this "sterile pus" are found to be teeming with bacteria when Gram's stain is applied. Malodorous pus suggests anaerobic infection.Gas is found in many anaerobic infections of deep tissuesAlthough a putrid-smelling infection site or discharge is considered diagnostic for anaerobic infection, this manifestation usually develops late in the course and is present in only 30-50% of cases.